Reis-Buckler dystrophy affects which layer of cornea-
1. Epithelium
2. Stroma
3. Bowman's membrane
4. Endothelium

Correct answer: 3. Bowman's membrane

Explanation: Reis-Buckler dystrophy also known as ring-shaped dystrophy (due to the typical lesion) primarily involving the Bowman's layer is a progressive corneal dystrophy occurring in childhood. It has got autosomal dominant inheritance. Most patients get frequent attacks of recurrent corneal erosions that usually result in diffuse anterior scarring.Reference:Comprehensive ophthalmology,AK Khurana,4th edition,page no.117